In a middle-aged man the radiograph shows 'cotton- wool' appearance and blood investigation reveal an elevated alkaline phosphatase Levels. The tentative diagnosis is
1. Paget's disease
2. Cherubism
3. Fibrous dysplasia
4. Osteogenesis imperfecta

Correct answer: 1. Paget's disease